Bisecting angle technique is based upon?
1. Mara principle
2. SLOB rule
3. Rule of isometry
4. Convergence

Correct answer: 3. Rule of isometry

Explanation: The bisecting-angle technique is based on a simple geometric theorem, Cieszynski’s rule of isometry, which states that two triangles are equal when they share one complete side and have two equal angles.
Dental radiography applies the theorem as follows. The receptor is positioned as close as possible to the lingual surface of the teeth, resting in the palate or on the floor of the mouth. 
The plane of the receptor and the long axis of the teeth form an angle with its apex at the point, where the receptor is in contact with the teeth along an imaginary line that bisects this angle and directs the central ray of the beam at right angles to this bisector. 
This forms two triangles with two equal angles and a common side (the imaginary bisector). Consequently, when these conditions are satisfied, the images cast on the receptor theoretically are the same length as the projected object. To reproduce the length of each root of a multirooted tooth accurately, the central beam must be angled differently for each root.

Ref: ORAL RADIOLOGY Principles and Interpretation, Stuart C. White, Michael J. Pharoah Edition 7 page no 94,95